Which of the following extremes of parental behaviour
were manifested either in extreme dominance or
indulgence -
1. Over anxiety
2. Rejection
3. Identification
4. Overprotection

Correct answer: 4. Overprotection